In open Angle Glaucoma which investigation is least useful
1. Indirect opthalmoscopy
2. Tonometry
3. Direct opthalmoscopy
4. Perimetry

Correct answer: 1. Indirect opthalmoscopy

Explanation: A i.e. Indirect ophthalmoscopy Baseline Evaluation in PAOG before initiation of therapy includes Visual Acuity Slitlamp biomicroscopy to rule out any signs of secondary glaucomas Applanation Tonometry to measure the IOP (> 21 mm Hg) Gonioscopy to assess the angle (an open angle of normal appearance) Ophthalmoscopy to assess the optic disc (Best done by Direct Ophthalmoscopy) Perimetry to assess visual field to judge progress of the disease and grading